A 25-year-old male tests positive for a hepatitis C infection. Which of the following is the most likely method of transmission?
1. Fecal-oral
2. Fomite
3. Intravenous drug (needles)
4. Sexual transmission

Correct answer: 3. Intravenous drug (needles)